Management of typical febrile seizures include all the following except
1. Tepid sponging
2. Paracetamol and ibuprofen
3. Intermittent diazepam
4. Prophylactic phenobarbitone.

Correct answer: 4. Prophylactic phenobarbitone.

Explanation: In cases of developing epilepsy-intermittent prophylaxis with diazepam (oral or rectal) started at the onset of fever is recommended. Chronic prophylaxis with phenobarbitone advocated earlier has been abandoned, because of poor efficacy and behavioral side effects. REF: KD TRIPATHIH 8TH ED